Which of the following condition is not associated with an Anti-phosholipid syndrome?
1. Venous thrombosis
2. Recurrent foetal loss
3. Thrombocytosis
4. Neurological manifestations

Correct answer: 3. Thrombocytosis

Explanation: Thrombocytopenia is associated with antiphospholipid syndrome. Clinical features associated with Anti-phospholipid syndrome are : Venous thrombosis and related consequences: ? Deep vein thrombosis ? Livedo reticularis ? Pulmonary embolism ? Superficial thrombophlebitis Arterial thrombosis and related consequences: ? Stroke ? Libman-sacks vegetation ? Transient Ischemic attack ? Myocardial ischemia ? Leg ulcers and/or digital gangrene ? Arterial thrombosis in the extremities ? Retinal artery thrombosis/ amaurosis fugax ? Avascular necrosis of bone ? Multi-infarct dementia Neurologic manifestations: ? Migraine ? Epilepsy ? Chorea ? Cerebellar ataxia ? Transverse myelopathy Renal manifestations: ? Renal artery/renal vein/glomerular thrombosis, fibrous intimal hyperplasia Osteoarticular manifestations: ? Arthralgia ? Arthritis Obstetric manifestations: ? Preeclampsia ? Eclampsia Fetal manifestations: ? Fetal loss Hematologic manifestations: ? Thrombocytopenia ? Autoimmune hemolytic anemia Ref: Harrison's Principle of Internal Medicine, 18th Edition, Pages 2736-2738 ; Current Medical Diagnosis and Treatment, 2012, Chapter 19